Nausea, Vomiting, Blue line on gums, Wrist/ foot drops, Pallor, Colic are manifestations of poisoning due to
1. Mercury
2. Arsenic
3. Organic lead
4. Inorganic lead

Correct answer: 4. Inorganic lead

Explanation: Ans. (d) Inorganic leadRef: K. Park 23rd ed. / 807-808* Insomnia is caused by organic lead poisoning.* Organic lead poisoning causes CNS side effects while Inorganic lead poisoning causes non-CNS side effects.Due to Organic Lead (CNS effects)Due to Inorganic Lead (Non-CNS effects)* Insomnia* Mental confusion* Headache* Delirium* Facial pallor: earliest and most consistent sign.* Anemia: Microcytic Hypochromic* RBC's stippling* Burtonian Line on upper gums* Lead Colic: constipation (or copper)* Lead Palsy (wrist + foot drop)